In traumatic injury to common femoral vein & external femoral artery, which among the following should be done -
1. Ligation of both artery & vein
2. Repair of artery & vein
3. Below knee amputation
4. Repair of artery and contralateral sympathectomy

Correct answer: 2. Repair of artery & vein